what is the drug of choice for akathisia
1. trihexyphenidyl
2. propanolol
3. clonazepam
4. amisulpride

Correct answer: 2. propanolol

Explanation: Acute akathisia * It was coined by Haskovec * Subjective state of restlessness and fidgety behaviour * <72 hours of starting antipsychotics * DD=agitated depression * If this is misdiagnosed as agitation and if antipsychotic is hiked there will be worsening of symptoms Propranolol id the TOC Ref,Kaplon and Sadock, synopsis of psychiatry, 11 th edition, pg.no.925